A 35 year old woman comes to you for routine gynecological examination. You examined her and takes a pap smear which turns out to be normal. She was determined to be a low risk case. At what intervals will you recommend a pap smear examination for her? Note :- She had normal smear in the last 3 consecutive years.
1. Annually
2. Every 2 year
3. Every 3 year
4. Every 5 yaer

Correct answer: 3. Every 3 year

Explanation: For a woman over the age of 30 years a pap smear is recommended once every 3 years if : HPV DNA is negative, is at low risk for Ca cervix and 3 consecutive annual screening are negative. Also know An annual screening is recommended in women over 30 years if she is : HPV DNA +ve or is at high risk for Ca cervix. Note:- > 70 years, Pap smear need not be done if there have not been a +ve test in the last 10 years. Ref: Essentials of Gynaecology by Lakshmi Seshadri, Edition 1, page - 467